Commonest/rarest veriety of Pemphigus?
1. Pemphigus vulgaris/vegetans
2. Pemphigus vegetans/vulgaris
3. Pemphigus fliaceus/erythematosis
4. Pemphigus erythematosia/foliaceous

Correct answer: 1. Pemphigus vulgaris/vegetans

Explanation: A. i.e. Pemphigus vulgaris/vegetans